A 6-year-old boy does not show any interest in other children, ignores adults other than his parents. He spends hours lining up his toy cars or spinning their wheels. He rarely uses speech to communicate. He remains confined to himself. If his routine is disturbed, he becomes restless. Which of the following disorders the child is most likely suffering from?
1. Social phobia
2. Intellectual disability
3. ADHD
4. Autism

Correct answer: 4. Autism

Explanation: Ans. D. AutismAutistic disorder is characterized by lack of interest in social interactions, severely impaired verbal and nonverbal communication, stereotyped behaviors, and a very restricted range of interests. Children with autism do not involve themselves in imaginative and imitative play and can spend hours lining and spinning things or dismantling toys and putting them together. Mentally retarded children are developmentally delayed, but their social interaction and interest in people are appropriate for their mental age.